Mechanism of action of combination OCPs in treatment of AUB - E
1. Diminshed prostaglandin synthesis.
2. Decreased endometrial fibrinolysis.
3. Endometrial atrophy.
4. All of the above.

Correct answer: 4. All of the above.

Explanation: Combined OCPs have all the actions mentioned.